All of the following are biochemical markers included for triple test except:
1. Alfa feto protein (AFP)
2. Human chorionic gonadotropin (HCG)
3. Human Placental Lactogen (HPL)
4. Unconjugated oestriol

Correct answer: 3. Human Placental Lactogen (HPL)

Explanation: Dual test - Upto 12 weeks : PAPP-A and hCG : NT > 3mm , High hCG and Low PAPP-A are suggestive of Trisomy Triple test - from 16th week onwards : MSAFP, hCG , uE3 : High hCG, Low MSAFP and Low uE3 are suggestive of Trisomy Quadruple (Quad) test - MSAFP, hCG , uE3, inhibin: In addition to Triple test, Inhibin A higher than normal is suggestive of Trisomy